Most demineralised zone in enamel caries
1. Translucent zone
2. Body of lession
3. Dark zone
4. Surface zone

Correct answer: 2. Body of lession